Capsid of viral structure is:
1. Extracellular infectious particle
2. Protein coat around nucleic acid
3. Envelop around a virus
4. None of the above

Correct answer: 2. Protein coat around nucleic acid

Explanation: Ans. b. Protein coat around nucleic acid